All of the following statements are true about regulation of cholesterol synthesis, EXCEPT?
1. HMG-CoA reductase is inhibited by mevalonate
2. HMG-CoA reductase is inhibited by cholesterol
3. SREBP increases the transcription of HMG-CoA reductase
4. Thyroid hormone decreases the HMG-CoA reductase activity

Correct answer: 4. Thyroid hormone decreases the HMG-CoA reductase activity

Explanation: Cholesterol Metabolism Mevalonate and cholesterol both allosterically inhibit HMG-CoA reductase (option a and b are correct) Transcription of HMG-CoA reductase gene is regulated by a transcription factor known as SREBP (sterol regulatory element binding protein) Binding of this SREBP protein to DNA sequences known as SRE (sterol regulatory element) which is located 5' to the HMG-CoA reductase gene | the transcription. So SREBP increases the HMG-CoA transcription (option c is correct) Insulin or thyroid hormone | HMG-CoA reductase activity (option d is false and hence is the answer) Glucagon or glucocorticoids | it